For Foreign bodies are retained in the larynx causing choking, first line of management is
1. Airway insertion
2. Hemilich manouvere
3. Hemilich valve
4. Tracheostomy

Correct answer: 2. Hemilich manouvere

Explanation: Hemilich manouvere